According to International Health Regulations, there is no risk of spread of yellow fever if the Aedes aegypti index remains below:
1. 1%
2. 5%
3. 8%
4. 10%

Correct answer: 1. 1%

Explanation: 1%